Source of chronic subdural hematoma is:
1. Arterial
2. Venous
3. Capillaries
4. None of the above

Correct answer: 2. Venous

Explanation: Ans. B: Venous Chronic subdural haematomas usually occur in the elderly and are more common in those on anti-coagulant or anti-platelet agents. There is usually but not always a history of minor head injury in the weeks or months prior to presentation. It is thought that small bridging veins tear and cause a small acute subdural haematoma which is clinically silent As the haematoma breaks down it increases in volume, leading to a mass effect on the underlying brain